Most important factor for development of diabetic retinopathy is
1. Duration of diabetes
2. Level of diabetes
3. Type of diabetes
4. co morbid conditions like hypertension & hyperlipidemia

Correct answer: 1. Duration of diabetes

Explanation: Duration of diabetes is most important factor for development of diabetic retinopathy. Other Risk Factors: Duration of DM Hyperlipidemia Nephropathy Pregnancy Hypertension